Karyotyping is done in which phase of cell cycle:
1. Anaphase
2. Metaphase
3. Telophase
4. S phase

Correct answer: 2. Metaphase

Explanation: Ans. (b) Metaphase(Ref: Robbins 9th/pg 158; 8th/pg 159)In KaryotypeChromosomes are examined after arresting dividing cells in metaphase with mitotic spindle inhibitors (e.g. N-diacetyl-N-methylcolchicine), followed by stainingResolution of Karyotyping: 2 to 5 million base pairs Q